True statement regarding postmortem hypostasis is/are -
1. Also known as rigor mortis
2. Starts within 8 hours of death
3. Present all over the body
4. It is present on dependent part

Correct answer: 4. It is present on dependent part

Explanation: Postmortem hypostasis is bluish purple or purplish red discolouration which appears under skin in most superficial layers of dermis of dependent parts of body after death due to capillovenous distension. Dr.Narayana Reddys Synopsis of Forensic Medicine and Toxicology 27th edition pg. 76.